Which is True about dobutamine?
1. Dobutamine decreases peripheral resistance
2. Acts on D1 and D2 receptors
3. Decrease kidney circulation
4. Has no effect on coronary circulation

Correct answer: 1. Dobutamine decreases peripheral resistance

Explanation: Ref: HL Sharma 3rd ed pg no: 177 Dobutamine is a derivative of dopamine and is a selective beta1 agonist. It causes an increase in the force of contraction without a significant increase in heart rate. It also produces some vasodilatation by stimulating the beta 2 receptors. It doesn't decrease kidney circulation.